A 25-years old patient presented with mass in right iliac fossa, which after laparotomy was found to be carcinoid of 2.5 cm in diameter. What will be next step in management?
1. Segmental resection
2. Appendectomy
3. Right hemicolectomy
4. Do yearly 5-HIAA assay

Correct answer: 3. Right hemicolectomy

Explanation: M/C site carcinoid tumor in appendix - tip Treatment:- * Upto 1cm- Appendectomy * >1cm to 2cm - Appendectomy * > 2cm - Right hemicolectomy